A woman is posted for elective cholecystectomy. Her preoperative clinical evaluation and airway assessment was normal. In the operating room, she was attached to the monitors and an antibiotic was administered to her. Suddenly she became pulseless and unresponsive. What should be the next step in her management?
1. Check for breathing
2. Call ambulance
3. Start chest compression
4. Give two breaths

Correct answer: 3. Start chest compression

Explanation: Ans. c. Start chest compression